A child can walk with one hand held, releases object to another person on request and play a simple ball game. What is her age?
1. 6 months
2. 9 months
3. 12 months
4. 18 months

Correct answer: 3. 12 months

Explanation: At 1 year Walks with one hand held, rises independently Releases object to another person on request Play a simple ball game Say a few words besides 'mama' 'dada' Makes postural adjustments to dressing Ref : Nelson 20th edition pg no : 67